Reid index, False is
1. Normal value is <0.4
2. Reid index is increased in chronic Bronchitis.
3. Measures hypertrophy of mucosal Epithelium.
4. Daily sputum production can be correlated with Reid index.

Correct answer: 3. Measures hypertrophy of mucosal Epithelium.

Explanation: Reid index measures hypertrophy of the mucus secreting glands.